which of the following statement regarding gamma release assays for diagnosis of TUBERCULOSIS is true?
1. First generation Quanti-FERON –TB assay used ESAT-6
2. Second Generation Quanti FERON-TB{GOLD} assay used ESAT-6 and CPF-10
3. These test can distinguish between M.tuberculosis and M.bovis
4. None of the non tuberculosis mycobacteria give a positive reaction with the test.

Correct answer: 2. Second Generation Quanti FERON-TB{GOLD} assay used ESAT-6 and CPF-10